Antigenic shift -
1. Occurs every 2-3 years
2. Gradual change over time
3. Results from genetic recombination
4. Occurs in all influenza viruses

Correct answer: 3. Results from genetic recombination

Explanation: Antigenic shift is an abrupt, drastic, discontinuous variation in the antigenic structure resulting in a novel virus strain unrelated antigenically to predecessor strain. REF: Anantha Narayan AND PANIKER'S TEXTBOOK OF MICROBIOLOGY 9TH EDITION PAGE NO:499